Most common cause of gangrene of foot of 30-years old farmer who is a chronic smoker
1. Raynaud’s disease
2. Myocardial infarction
3. Atherosclerosis
4. Thromboangitis obliterans

Correct answer: 4. Thromboangitis obliterans